All are false statement about pyridoxine except -
1. Deficiency can cause hemolytic anemia
2. Deficiency can cause hypochromic anemia
3. RDA for pyridoxine 5 mg
4. Can cause burning foot syndrome

Correct answer: 2. Deficiency can cause hypochromic anemia

Explanation: Answer- B. Deficiency can cause hypochromic anemiaVitamtin B deficiency cause hypochromic mictocytic anemia since its derivative pyridoxal phosphate (PLP) b a cofactor for the enzyme aminolevullanate synthase which is the first enzyme involved in heme biosynthesis.